A 70 year old man is having nasal regurgitation of fluids and hoarseness of voice. On sensory examination numbness and loss of sensation over left half of face with impaired pain and temperature and contralateral part of the body is noted. Motor examination shows left arm weakness and cranial nerve examination shows diminished gag reflex. Which of the following vessel thrombosis leads to this condition?
1. Posterior inferior cerebellar artery
2. Posterior cerebral artery
3. Middle cerebral artery
4. Anterior inferior cerebral artery

Correct answer: 1. Posterior inferior cerebellar artery

Explanation: Loss of pain and temperature on I/L face and C/L body is due to the occlusion of PICA, which leads to Wallenberg's syndrome/Lateral medullary syndrome. Wallenberg's syndrome/Lateral medullary syndrome. -Due to the occlusion of PICA -Clinical feature I/L sensory loss of Face C/L sensory loss of limbs 9thand 10thcranial nerve palsy Limb ataxia Medial medullary syndrome - Due to the occlusion of the vertebral artery or a branch of the vertebral or basilar artery. - Clinical features : CN XII:Ipsilateral paralysis of the tongue Pyramidal tract:Contralateral hemiplegia Medial lemniscus:Impaired tactile and proprioception over the contralateral half of the body